Traumatic glenohumeral instability in one direction with 4,an karts lesion are treated by -
1. Conservative methods
2. Surgery
3. Rehabilitation
4. Observation followed by inferior capsule shift

Correct answer: 2. Surgery

Explanation: Treatment of recurrent shoulder (glenohumeral) instability

Treatment of traumatic unidirectional instability → Surgery.
Treatment of non-traumatic multidirectional instability → Rehabilitation.